Accidental Intermediate host for hydatid disease is:
1. Cow
2. Man
3. Dog
4. Pig

Correct answer: 2. Man

Explanation: Ans. B: Man The species in which the larval stage of the parasite lives or the asexual multiplication takes place is called intermediate host Man is intermediate host for hydatid disease and malaria. Man is definitive host for majority of human parasitic infections like filarial, roundworm or hookworm.